If there is a Gs alpha subunit gain-of-function mutation, this results in:
1. Decreased cAMP
2. Decreased 1P3
3. Increased GTPase activity
4. Increased cAMP

Correct answer: 4. Increased cAMP

Explanation: Gs activates Ca++ channel opening Gs-increases cAMP by stimulating adenyl cyclase Gi(inhibitory)- decreases cAMP by inhibiting adenyl cyclase Pg.no45 KD TRIPATHI SEVENTH EDITION